All of the following are included in Jones minor criteria except:
1. Fever
2. Raised ESR and CRP
3. Arthralgia
4. Erythema marginatum

Correct answer: 4. Erythema marginatum

Explanation: Ans. D. Erythema marginatumJones Minor criteria - Fever, Leucocytosis, arthralgia, raised ESR, raised CRP, prolonged PR interval, anamnesis of rheumatism